A patient Dharampal has been diagnosed to have bronchial asthma and is maintained on oral prednisolone 20 mg daily and inhaled salbutamol as required. The patient develops chest infection. Which of the following measures would you like to take ?
1. Stop prednisolone
2. Reduce prednisolone dose to 5 mg/day
3. No change/increase in prednisolone dose
4. Substitute prednisolone with inhaled budesonide

Correct answer: 3. No change/increase in prednisolone dose